Ectopic rest of tissue is known as
1. Choristoma
2. Hamartoma
3. Pseudo tumour
4. Lymphoma

Correct answer: 1. Choristoma

Explanation: *Choristoma (Heterotopia) - Microscopically normal cells or tissues that present in abnormal locations.*Hamartoma - Excessive, focal overgrowth of cells or tissues native to the organ in which it occurs.Ref: Robbins 8/e p473